Following name is associated with Psychodynamic theory -
1. Carl Jung
2. Sigmund Freud
3. Emil Craplein
4. Eugen Bleuler

Correct answer: 2. Sigmund Freud